A 5-year-old child with recurrent sinusitis, cause is:
1. Adenoids
2. Angiofibroma
3. Nasal carcinoma
4. All of the above

Correct answer: 1. Adenoids

Explanation: (a) Adenoids(Ref. Scott Brown, Vol 2; 286)Because of nasal obstruction the child can have recurrent sinusitis. Angiofibroma and nasopharyngeal carcinoma are not seen at this age.